All of the following are psychedelic drugs except?
1. Lysergic acid diethylamide
2. Phencyclidine
3. Cocaine
4. Mescaline

Correct answer: 3. Cocaine

Explanation: Hallucinogens (Psychotomimetics, psychedelics, psychotogens) are drugs which alter mood, behaviour, thought and perception in a manner similar to that seen in psychosis. These are as: Lysergic acid diethylamide (LSD) Psilocybin Harmine Bufotenin Mescaline (Phenyl alkyl amines) Phencyclidine Lysergic acid amide